Drugs such as bisphosphonate have ____ effect on orthodontic tooth movement:
1. Increases response to Orthodontic force
2. Decreases response to Orthodontic force
3. Has no effect on Orthodontic force
4. None of the above

Correct answer: 2. Decreases response to Orthodontic force

Explanation: Two types of drugs are known to depress the response to orthodontic force and may influence current treatment: the bisphosphonate used in treatment of osteoporosis (e.g. alendronate  or risedronate ), and prostaglandin inhibitors (especially the more potent members of this group that are used in treatment of arthritis, like indomethacin)